Time since death can be known by all of the following except?
1. Cadaveric spasm
2. Algor mortis
3. Rigor mortis
4. Livor mortis

Correct answer: 1. Cadaveric spasm

Explanation: Cadaveric spasm Manner of death, last act of the person Algor mortis Time since death Rigor mortis Time since death, position of the body Livor mortis Time since death, Position of the body, Cause of death